Example for a conjugated protein is ?
1. Heme
2. Chylomicron
3. Albumin
4. Histone

Correct answer: 2. Chylomicron

Explanation: Ans. is 'b' i.e., Chylomicron